Migratory necrolytic erythema is seen in all conditions, except:
1. Hepatitis B
2. Hepatitis C
3. Short bowel syndrome
4. Myeloproliferative disorders

Correct answer: 2. Hepatitis C

Explanation: Necrolytic migratory erythema occurs in myeloproliferative disorders, hepatitis B infection, malnutrition, short-bowel syndrome, inflammatory bowel disease, and malabsorption disorders. Reference: Harrisons Principles of Internal Medicine, 18th Edition, Page 3067